Treatment of 42 year old obese man with blood glucose 450 mg, urine albumin 2+sugar 4+ketone 1+ is
1. Insulin
2. Glibenclamide
3. Glipizide
4. Metformin

Correct answer: 1. Insulin

Explanation: Answer is A (Insulin): Presence of sugar and ketones in urine and the presence of hyperglycemia (400 mg Glucose) suggests a diagnosis of Diabetic ketoacidosis. The treatment of choice in Diabetic ketoacidosis is Insulin.